Placement of double lumen tube for lung surgery is best confirmed by
1. EtCO2
2. Airway pressure measurement
3. Clinically by auscultation
4. Bronchoscopy

Correct answer: 4. Bronchoscopy

Explanation: Double lumen tube is used for one - lung ventilation.In double lumen tube, one is endobronchial and the other short lumen is endotracheal. One-lung ventilation is indicated in surgeries like pneumonectomy ,lobectomy,lung transplantation, bronchopleural fistulas... . Most commonly used double lumen tube is left-sided tube . Bronchoscopy is the ideal method of confirmation of the tube